Mycobacterium tuberculosis is best demonstrated by
1. Gram's stain
2. H & E stain
3. Ziehl-Neelsen stain
4. PAS stain

Correct answer: 3. Ziehl-Neelsen stain